Peutz Jeghers polyps present most commonly in
1. Rectum
2. Colon
3. Esophagus
4. Jejunum

Correct answer: 4. Jejunum

Explanation: .PEUTZ-JEGHER'S POLYP is common in small intestine (jejunum) but can also occur in large intestine. * Features are multiple, familial, hamartomatous intestinal polyps. * Asssociated with melaenosis of the oral mucosa, lips (lower lip) and occasionally digits (not in tongue). * Microscopically it contains tree like branching filaments of mucosa with smooth muscle wall. * It can occasionally turn into malignancy ref:SRB's manual of surgery,ed 3,pg no 831